Preganglionic parasympathetic fibers of pelvic splanchnic nerves originate from the S2-S4 spinal cord levels. Which is of the following organ is NOT supplied by pelvic splanchnic nerves?
1. Rectum
2. Urinary bladder
3. Appendix
4. Uterus

Correct answer: 3. Appendix

Explanation: A small branch of the ileocolic artery, the appendicular artery, supplies the appendix. Pelvic splanchnic nerves carry the parasympathetic and visceral afferent fibers to and from the inferior hypogastric plexus. These nerves supply the distal portion of the transverse colon, descending colon, sigmoid colon, and rectum, as well as organs of the pelvis and perineum.